The control teeth used during pulp testing are
1. Adjacent and opposing teeth
2. Adjacent and contra lateral teeth
3. Suspected tooth only
4. Adjacent teeth only

Correct answer: 2. Adjacent and contra lateral teeth